Which of the following is a very long acting Beta 2- agonist
1. Salbutamol
2. Terbutaline
3. Indacterol
4. Salmeterol

Correct answer: 3. Indacterol

Explanation: Salbutamol, Terbutaline are short acting Beta 2 agonists.
Salmeterol, Formeterol are long acting Beta 2 agonists.
Indacterol, Carmoterol, Olodlaterol are very long acting Beta 2 agonists.